In hilum of right lung which of the following is the uppermost structure
1. Superior pulmonary vein
2. Bronchus
3. Bronchial artery
4. Inferior pulmonary vein

Correct answer: 2. Bronchus

Explanation: Right lung(above downwards) Eparterial bronchus Pulmonary artery Hyparterial bronchus Inferior pulmonary vein Left lung Pulmonary artery Bronchus Inferior pulmonary vein Ref. BD Chaurasia volume 1 page 226